Not a complication of gallstones
1. Mucocele
2. Diverticulosis
3. Acute cholangitis
4. Empyema of the gallbladder

Correct answer: 2. Diverticulosis

Explanation: Effects and complications of Gallstones In Gallbladder In Bile duct In intestine Silent stones Acute cholecystitis Chronic cholecystitis Mucocele Empyema Perforation Gangrene Carcinom Obstructive jaundice Cholangitis Acute pancreatitis Gall stone ileus Ref: Sabiston 20th edition Pgno : 1492-1493